The reagent used in the Apt test?
1. Sodium hydroxide
2. Sodium chloride
3. Potassium Chloride
4. Sodium bicarbonate

Correct answer: 1. Sodium hydroxide

Explanation: Alkali denaturation test (Apt-Downey test / apt test)-Used to detect differentiate Fetal or neonatal blood from maternal blood (Qualitative).PrincipleMethodvFetal hemoglobin (alpha 2 gamma 2 subunits) is resistant to alkali (basic) denaturation, whereas adult hemoglobin (alpha2 beta 2 subunits) is susceptible to such denaturation.vExposing the blood specimen to sodium hydroxide (NaOH) will denature the adult but NOT the fetal hemoglobin.vThe fetal hemoglobin will appear as a pinkish color under the microscope while the adult hemoglobin will appear as a yellow-brownish colorvThe blood is mixed with sterile water to cause hemolysis of the RBCs, yielding free hemoglobin,vThe 5 ml pink hemoglobin-containing supernatant is then mixed with 1 mL of 1% NaOH.vFetal hemoglobin will stay pink and adult hemoglobin will turn yellow-brown.vAdult hemoglobin changes color because it is less stable and will convert to hematin.